The following parameters should be monitored when a patient is on Magnesium sulfate therapy except-
1. Deep tendon reflexes
2. Pulse rate
3. Respiratory- rate
4. Urine output

Correct answer: 2. Pulse rate